First symptom in vulval cancer is-
1. Pain
2. Pruritus
3. Ulceration
4. Bloody discharge

Correct answer: 2. Pruritus

Explanation: Ans. is 'b' i.e., Pruritus o Women with VIN and vulvar cancer commonly present with pruritus and a visible lesion.# However, pain, bleeding, and ulceration may also be initial complaints.